Treatment of choice for nasal synachiae -
1. Surgical removal of adhesions
2. Topical mitomycin
3. Nasal stent
4. None of the above

Correct answer: 1. Surgical removal of adhesions

Explanation: Ans. is 'a' i.e., Surgical removal of adhesionso Removal of adhesion is the procedure of choice for nasal synachiae.Noteo Topical mitomycin is used to prevent adhesions (not for treatment).